Physiological antagonism is found in
1. Isoprenaline and salbutamol
2. Isoprenaline and adrenaline
3. Isoprenaline and propanolol
4. Adrenaline and histamine

Correct answer: 4. Adrenaline and histamine

Explanation: ref ; KD Tripathi pharmacology 7th edition (page no; 58) Physiological/functional antagonism; The two drugs act on different receptors or by different mechanisms but have opposite overt effects on the same physiological function, i. e . have pharmacological effects in the opposite direction, e.g.Histamine and adrenaline on bronchial muscles and BP Hydrochlorothiazide and triamterene on urinary k+ excretion Glucagon and insulin on blood sugar level. Ref: KD Tripathi 8th ed